Cyclophosphamide can cause?
1. Hemorragic cystitis
2. Hand-foot syndrome
3. Radiation Recall
4. Cardiomyopathy

Correct answer: 1. Hemorragic cystitis

Explanation: Ans. is 'a' i.e., Haemorrhagic cystitis "Haemorrhagic cystitis can develop in patients receiving cyclophosphamide or ifbsphamide".